Vasa brevia is the name of
1. Long gastric arteries
2. Short gastric arteries
3. Iliea vasa recta
4. Jejunal vasa recta

Correct answer: 2. Short gastric arteries

Explanation: Splenic artery (branch of celiac trunk) supply greater curvature of stomach by it following branches: Short gastric arteries which are called as vasa brevia. (carried by Splenogastric ligament) Long gastric artery called left gastroepiploic artery. Jejunal vasa recta (long arteries) & ileal vasa recta (short) are straight arteries coming from arcades in mesentery of jejunum & ileum.